A 2-week-old baby is irritable and feeding poorly. On physical examination, the infant is irritable, diaphoretic, tachypneic and tachycardic. There is circumoral cyanosis, which is not alleviated by nasal oxygen. A systolic thrill and holosystolic murmur are heard along the left sternal border. An echocardiogram reveals a heart defect in which the aorta and pulmonary artery form a single vessel that overrides a ventricular septal defect. What is the appropriate diagnosis?
1. Atrial septal defect
2. Coarctation of aorta, preductal
3. Patent ductus arteriosus
4. Truncus arteriosus

Correct answer: 4. Truncus arteriosus

Explanation: Truncus arteriosus refers to a common trunk for the origin of the aorta, pulmonary arteries and coronary arteries. It results from absent or incomplete partitioning of the truncus arteriosus by the spiral septum during development. Most infants with persistent truncus arteriosus have torrential pulmonary blood flow, which leads to heart failure. None of the other choices are distinguished by a single vessel that carries blood from the heart.